Which of the following is not seen in blunt trauma to eye :
1. Retinal detachment
2. Double perforation in iris
3. Hyphaema
4. Iridiodialysis

Correct answer: 2. Double perforation in iris

Explanation: B i.e. Double perforation of iris Penetrating trauma leads to - golden brown corneal ring(resembling Kayser-Fleischer ring) in descemets membrane of cornea., sunflower cataract Q, sympathetic opthalmitis, double perforation of irisQ. Closed Globe Injury Cornea: Abrasions, recurrent corneal erosions (recurrent keractalgia), partial corneal tears, blood staining, opacity. Sclera: Lacerations Anterior chamber: hyphaema (blood in anterior chamber)Q, collapse (due to perforation), exudates Iris, pupil & ciliary body: miosis, mydriasis, rupture of pupillary margin, vadiating tears, iridodialysis (detachment of iris from its root at the ciliary body) Q, antiflexion & retroflexion of iris, aniridia or iridremia, angle-recession inflammatory changes. Lens: vossius ring (on anterior capsule) Q, rosette cataract Q, subepithelial opacities (most common), zonular cataract, diffuse (total) concussion cataract, absorption of lens, subluxation, dislocation. Q Vitreous: liquefaction & appearance of clouds of opacities (m.c.), detachment, haemorrhage, herniation. Choroid: rupture, haemorrhage, detachment, choroiditis. Retina: commotio retinae (Berlin's oedema) Q, haemorrhage, tears, detachment Q. proliferative retinopathy, macular changes (oedema, pigmentary degeneration, cyst, hole) Q Pressure changes: glucoma, hypotony Refractory changes: Myopia, hypermetropia.